A 9-month-old infant accidentally ingests an unknown quantity of digitalis. The most important noncardiac manifestation of toxicity in this infant is
1. Fever
2. Dizziness
3. Vomiting
4. Visual disturbances

Correct answer: 3. Vomiting

Explanation: An important noncardiac manifesta on of digitalis toxicity in infants is vomiting.